Nutmeg liver is the gross appearance of the liver in one of the following-
1. Cirrhosis of liver
2. Hepatoma
3. Secondary carcinomatous deposit in liver
4. Chronic passive congestion in liver

Correct answer: 4. Chronic passive congestion in liver

Explanation: The combination of hypoperfusion and retrograde congestion (Chronic passive congestion) acts synergistically to generate centrilobular hemorrhagic necrosis. The liver takes on a variegated mottled appearance reflecting hemorrhage and necrosis in the centrilobular regions, know as nutmeg liver.